All are considered to be poor prognostic factors in liver metastasis except
1. Synchronous lesions
2. Metachronous lesions
3. Extra-hepatic metastasis
4. CEA>200ng/ml

Correct answer: 2. Metachronous lesions

Explanation: Poor prognostic or factors affecting outcome Four or more tumors Extra hepatic disease Size >5cm Disease free interval <1 year Lymph node positive primary lesion CEA >200ng /ml Synchronous liver metastasis Ref:Sabiston 20th edition Pgno :1464-1465